'Reinforcement' is used in :
1. Psychoanalysis
2. Hypnoanalysic
3. Abreaction
4. Conditioned learning

Correct answer: 4. Conditioned learning

Explanation: D i.e. Conditioned learning